Which finding on electron microscopy indicates irreversible cell injury-
1. Dilatation of endoplasmic reticulum
2. Dissociation of ribosomes from rough endoplasmic reticulum
3. Flocculent amorphous densities in the mitochondria
4. Myelin figures

Correct answer: 3. Flocculent amorphous densities in the mitochondria

Explanation: Ans. is 'c' i.e., Flocculent densities in mitochondria Mechanism of irreversible cell injury :? Membrane damage is the central factor in the pathogensis of irreversible cell injury. Note : o Earliest change of reversible cell injury is cellular swelling. o Myelin figures (laminated structure) derived from damaged membrane of organelles and plasma membrane, first appear during reversible injury, but become more pronounced in irreversible injury.